The lung carcinoma most common in non- smokers is -
1. Squamous cell carcin oma
2. Large cell
3. Adenocarcinoma
4. Small cell carcinoma

Correct answer: 3. Adenocarcinoma

Explanation: "Adenocarcinoma is the most common type of lung cancer in women and nonsmokers".      — Robbin's